Curdling of milk is caused by -
1. Rennin
2. Lipase
3. Amylase
4. Elastase

Correct answer: 1. Rennin

Explanation: Ans. is'a'i.e., Rennin [Ref: Concise oxford dictionary p. 1218iRennin is an enzyme secreted into the stomach of unweaned mammis causing the curdling of milk.